Cyst found in place of tooth:
1. Dentigerous cyst
2. Primordial cyst
3. Eruption cyst.
4. All of the above.

Correct answer: 2. Primordial cyst